Renin in synthesized by:
1. Granular cells
2. Intercalated cells
3. Interstitial cells
4. Macula densa cells

Correct answer: 1. Granular cells

Explanation: Ans. A. Granular cellsGranular cells (also known as juxtaglomerular cells) are located primarily in the wall of afferent arterioles and are the major site of renin synthesis and release, (the JG cells are modified smooth muscle cells of the tunica media of the afferent arteriole; since the muscle cell has been modified to assume secretory function, the JG cells are referred to as myo-epithelioid cells).